Which of the following opioid analgesic acts primarily through K opioid receptors?
1. Pentazocine
2. Methadone
3. Buprenorphine
4. Pethidine

Correct answer: 1. Pentazocine

Explanation: (Ref: KDT 6/e p464, 465) Pentazocine can cause dysphoric reactions (hallucinations) by stimulating the K receptors.